Following are features of gunshot wound, except:
1. Entry wound is beveled in the outer table of skull
2. Abrasion collar is seen in entry wound
3. Harrison-Gilroy test can detect gunshot residue
4. Stellate shaped wound is seen in contact shot

Correct answer: 1. Entry wound is beveled in the outer table of skull

Explanation: Ans. Entry wound is beveled in the outer table of skull